In blood, bilirubin is with
1. Protein
2. Steroid
3. Vitamin
4. Carbohydrates

Correct answer: 1. Protein

Explanation: Bilirubin formed by the destruction of RBCs is free or unconjugated bilirubin.It is lipid soluble and bound to albumin(protein conjugation),which prevents it's excretion by the kidneys in urine. Ref.Text book of physiology by AK Jain 7th edition page no.79